A patient presents with low serum calcium, high phosphorus and elevated PTH. Which of the following investigations is least contributory to establish a diagnosis:
1. Vitamin D levels
2. Serum creatinine levels
3. Cyclic AMP response to PTH
4. Urine myoglobin

Correct answer: 1. Vitamin D levels

Explanation: Answer is A (Vitamin D levels): Vitamin D deficiency is associated with hypophosphatemia and not hyperphosphatemia Renal failure (t serum creatinine), Pseudohypoparathyroidism (J-CAMP response to PTH) and increased urinary myoglobin (crush syndrome; tissue injury) may all be associated with combination of hypocalcemia, hyperphosphatemia and elevated PTH levels